An infant has hepatosplenomegaly, hypoglycemia, hyperlipidemia, acidosis and normal structured glycogen deposition in liver. What is the diagnosis?
1. Her's disease
2. Von Gierke's disease
3. Cori's disease
4. Anderson's disease

Correct answer: 2. Von Gierke's disease

Explanation: b. Von Gierke's disease(Ref: Nelson's 20/e p 715-725, Ghai 8/e p 655-657)Hepatorenomegaly, hypoglycemia, hyperlipidemia, acidosis and normal structured glycogen deposition in liver is suggestive of Von Gierke's disease; Normal structured glycogen excludes options c. Cori's and d. Anderson's disease.